All are useful for management of Hypermagnesemia except?
1. Magnesium free enema
2. IV FLUID
3. Calcium gluconate
4. Amiloride

Correct answer: 4. Amiloride

Explanation: * Hypermagnesemia is seen rarely seen in the absence of renal insufficiency as kidneys can excrete a large load of magnesium. Management of Hypermagnesemia 1. Use of magnesium free cathartics may clear ingested magnesium from the gut. 2. Intravenous hydration will reduce chances of cardiac toxicity. 3. Temporary improvement will be provided by calcium gluconate. Amiloride is a diuretic and by causing loss of water from body will worsen the pre-existing hypermagnesemia.